Which among the following is a pure antagonist of opioid receptors?
1. Naltrexone
2. Nalbuphine
3. Butorphanol
4. Pentazocine

Correct answer: 1. Naltrexone